True statement regarding Pneumococcus is -
1. Virulence is due to polysaccharide capsule
2. Capsule is protein in nature
3. Antibodies against capsule are not protective
4. Resistance to antibiotics has not yet been reported

Correct answer: 1. Virulence is due to polysaccharide capsule